Earliest pathological change is X-ray in UIcreative Colitis-
1. Loss of haustration
2. Aphthous ulcerattions
3. Mucosal granularity
4. Skip tensions

Correct answer: 3. Mucosal granularity

Explanation: Pathogenesis of inflammatory bowel disease. Bacterial antigens are taken up by specialised M cells, pass between leaky epithelial cells or enter the lamina propria through ulcerated mucosa. After processing, they are presented to type 1 T-helper cells by antigen- presenting cells (APCs) in the lamina propria. T-cell activation and differentiation results in a Th1 T cell-mediated cytokine response with secretion of cytokines, including interferon gamma (IFN-g). Further amplification of T cells perpetuates the inflammatory process with activation of non-immune cells and release of other important cytokines, Including interleukin 12 (IL-12), IL-23, IL-1, IL-6 and tumour necrosis factor alpha (TNF-a). These pathways occur in all normal individuals exposed to an inflammatory insult and this is self-limiting in healthy subjects. In genetically predisposed persons, dysregulation of innate immunity may trigger inflammatory bowel disease. Inflammation invariably involves the rectum (proctitis) and spreads proximally in a continuous manner to involve the entire colon in some cases (pancolitis). In long-standing pancolitis, the bowel can become shortened and post-inflammatory 'pseudopolyps' develop; these are normal or hypertrophied residual mucosa within areas of atrophy . The inflammatory process is limited to the mucosa and spares the deeper layers of the bowel wall . Both acute and chronic inflammatory cells infiltrate the lamina propria and the crypts ('cryptitis'). Crypt abscesses are typical. Goblet cells lose their mucus and, in long-standing cases, glands become distorted. Dysplasia, characterised by heaping of cells within crypts, nuclear atypia and increased mitotic rate, may herald the development of colon cancer. Histology of ulcerative colitis. There is surface ulceration and inflammation is confined to the mucosa with excess inflammatory cells in the lamina propria, loss of goblet cells, and crypt abscesses (arrows). (SM = submucosa) Ref Davidson edition23rd pg 816